Marker of peroxisomes is
1. Glutamate dehydrogenase
2. Glucose-6-phosphate
3. 5' - nucleotidase
4. Uric acid oxidase

Correct answer: 4. Uric acid oxidase

Explanation: Marker enzymesPeroxisomes-Uric acid oxidaseMitochondria-ATP synthaseLysosome-cathepsinGolgi complex-galactosyl transferaseMicrosome-glucose 6 phosphatasesCytoplasm-lactate dehydrogenases